Laryngeal prominence is formed by
1. Cricoid cartilage
2. Hyoid bone
3. Anterior margin of thyroid
4. Angle of the thyroid cartilage

Correct answer: 4. Angle of the thyroid cartilage

Explanation: Thyroid cartilage is V-shaped in cross-section.It consists of right and left laminae. each lamina is roughly quadrilateral.The laminae are placed obliquely relative to the midline,their posterior borders are far apart but the anterior borders approach each other at an angle that is about 90 degree in the male and about 120 degree in the female. The lower parts of the anterior borders of the right and left laminae fuse and form a median projection called the laryngeal prominence.